Most commonly used vector for DNA cloning ?
1. Plasmid
2. Virus
3. Cosmid
4. Phage

Correct answer: 1. Plasmid

Explanation: A cloning vector is a carrier DNA molecule to which human DNA fragment is attached. Normally, foreign DNA fragments cannot self-replicate within host cell. Therefore, they are joined to a vector DNA, that can replicate within host cell.The five major types of cloning vectors used are -i) Plasmidsii) Viral vectors/Bacteriophagesiii) Cosmidsiv) Bacterial Artificial Chromosomes (BACs)v) Yeast artificial chromosomes (YACs)